A female with cellulitis of the lower leg has had cultures done on the affected area. Which of the following organisms is not part of the normal flora of the skin?
1. Staphylococcus epidermidis
2. Staphylococcus aureus
3. Escherichia coli (E. coli)
4. Candida albicans

Correct answer: 3. Escherichia coli (E. coli)

Explanation: E. coli normally is found in the intestines and constitutes a common source of infection of wounds and the urinary system. The other microbes listed are part of the normal flora of the skin.